Pneumocystis carinii causes primary infection in
1. Rats
2. Mice
3. Humans
4. Rabbits

Correct answer: 1. Rats

Explanation: There are two known species of Pneumocystis - Pneumocystis carinii, commonly found in rats and Pneumocystis jirovecii seen in humans. Ref: Textbook of Microbiology, Ananthanarayan and Paniker; 9th edition